Abnormally thick maxillary labial frenum results in
1. Maxillary Midline diastema
2. Imbrication of incisors
3. Labial inclination of incisors
4. Anterior deep bite

Correct answer: 1. Maxillary Midline diastema